Lens develops from:
1. Neural crest
2. Mesoderm
3. Neuroectoderm
4. Surface ectoderm

Correct answer: 4. Surface ectoderm

Explanation: Ans. D i.e. Surface ectoderm Embryology of eyeball Structures derived from mesoderm: Corneal stroma & endothelium, Only smooth muscles of iris, All muscles (EXCEPT iris muscle) Structures derived from surface ectoderm: Conjunctival epithelium, Lens Structures derived from neuroectoderm: Epithelium of iris & ciliary body, Muscles of iris (constrictor & dilator pupillae)